Which of the following is the major side effect of rifampicin ?
1. Renal failure
2. Hepatotoxicity
3. Bone marrow suppression
4. Blood dyscrasias

Correct answer: 2. Hepatotoxicity